All are primary supports of uterus except
1. transcervical ligament
2. pubocervical ligament
3. uterosacral ligament
4. broad ligament

Correct answer: 4. broad ligament

Explanation: Primary supports of Uterus Secondary supports of Uterus Levator ani(Main support) Pubocervical ligament Uterosacral ligament Transverse cervical ligament(MRT. Imp ligament) Round ligament of uterus Broad ligament- not a support of uterus. it is a misnomer as it is a peritoneal fold, not a ligament.